Condylomata Lata is seen in -
1. Congenital syphilis
2. Primary syphilis
3. Secondary syphilis
4. Tertiary syphilis

Correct answer: 3. Secondary syphilis